Oral contraceptive pills decrease incidence of all of the following conditions except :
1. Salpingitis
2. Hepatic adenoma
3. Ovary CA
4. Fibroadenosis

Correct answer: 2. Hepatic adenoma

Explanation: Hepatic adenoma